Capnography is useful for
1. Determining Vaporizer malfunction or contamination
2. Determining circuit hypoxia
3. Determining the appropriate placement of endotracheal
4. Detecting concentration of oxygen in the anesthetic circuit.

Correct answer: 3. Determining the appropriate placement of endotracheal

Explanation: capnography is the ideal method of determining the correct placemet of endotracheal tube. Identification : loss of waveform of capnogram.decline in End tidal CO2 levels.